Underwater autopsy of the heart is done in cases of:
1. Myocardial infarction
2. Pulmonary embolism
3. Air embolism
4. Pneumothorax

Correct answer: 3. Air embolism

Explanation: Ans. Air embolism